A 25 years old female reports in the casualty with history of amenorrhoea for two and half months and abdominal pain and bleeding per vaginum for one day. On examination, vital parameters and other systems are normal. On speculum examination, bleeding is found to come from Os. On bimanual examination, uterus Is of 10 weeks size, soft and Os admits one finger. The most likely diagnosis is:
1. Threatened abortion
2. Missed abortion
3. Inevitable abortion
4. Incomplete abortion

Correct answer: 3. Inevitable abortion

Explanation: Inevitable abortion The process of abortion has progressed to an extent that expulsion of products of conception is inevitable . There will be a history of amenorrhea followed by vaginal bleeding which may be associated with pain.On examination cervix will be open and products of conception will be felt through the os (refer pgno:145 sheila 2 nd edition)